Morphine is used in the treatment of which one of the following:
1. Asthma
2. Kyphoscoliosis
3. Chronic cor pulmonale
4. Left ventricular failure

Correct answer: 4. Left ventricular failure